Most common coupling agent used in composite is:
1. Organosilanes
2. Zirconates
3. Titanates
4. None

Correct answer: 1. Organosilanes

Explanation: Coupling agent

A bonding agent applied to the surfaces of reinforcing particles (filler) to ensure that they are chemically bonded to the resin matrix. Organo-silane compounds are the more common class of dental composite coupling agents.


Phillips 12th edition page 275